For every 100 kilocalories, vitamin B1 required is –
1. 0.05 mg
2. 0.5 mg
3. 5.0 mg
4. 1.0 gm

Correct answer: 1. 0.05 mg